A 34 year old man is admitted to the psychiatric temporary observation unit complaining of depression and suicidal ideation following a cocaine binge. During his stay, he starts feeling as if insects are crawling under his skin. This is most typical of which of the following phenomena?
1. Depersonalization
2. Dyskinesia
3. Formication
4. Illusion

Correct answer: 3. Formication

Explanation: Formication is a form of haptic hallucinations, associated with the sensation of touch. It is commonly seen in delirium tremens, amphetamine psychosis, and cocaine intoxication. Depersonalization is a term that describes the feeling of being different, strange, or unreal. The person feels a loss of identity. This phenomenon is seen in dissociative disorders. Dyskinesia is a term describing any movement disorder. Illusion is an erroneous perception, or a false response to sensory stimulus. It is commonly seen in toxic states as well as in schizophrenia and severe anxiety disorders. Ref: Nurcombe B., Ebert M.H. (2008). Chapter 4. The Psychiatric Interview. In M.H. Ebert, P.T. Loosen, B. Nurcombe, J.F. Leckman (Eds), CURRENT Diagnosis & Treatment: Psychiatry, 2e.